Most difficult criterion on establishing a causal association in the aetiology of a disease is -
1. Temporality
2. Strength of association
3. Specificity of association
4. Biological plausibility

Correct answer: 3. Specificity of association

Explanation: Park's textbook of preventive and social medicine 23rd edition. *Specificity is the most difficult criterion to establish not only in chronic disease but also in acute diseases and conditions.